In a surgical post-op Ward , a patient developed a wound infection . Subsequently 3 other patients developed similar infections in the ward. What is the most effective way to limit the spread of infection
1. Fumigation of the ward
2. Give antibiotics to all the other patients in ward
3. Proper handwashing of all ward personnel's
4. Wash ot instruments with 1% perchlorate

Correct answer: 3. Proper handwashing of all ward personnel's

Explanation: Given the prominence of cross infection , hand washing is the single most important preventive measure in the hospital . Use of alcohol hand rubs between patient contacts is now recommended for all health Care workers except when the hands are visibly soiled , in which case washing with the soap and water is required - Harrison 15/e